Cause of hairy leukoplakia which is characterised by severe discomfort on lateral part of the tongue
1. HIV
2. EBV
3. Herpes virus
4. HPV

Correct answer: 2. EBV

Explanation: (B) EBV # Hairy leukoplakia is a distinctive oral lesion that is seen in immunocompromised patients.> Approximately 80% of patients with hairy leukoplakia have been infected with the human immunodeficiency virus (HIV); the presence of this lesion sometimes calls attention to the existence of the infection.> Hairy leukoplakia takes the form of white, confluent patches of fluffy ("hairy") hyperkeratotic thickenings, almost always situated on the lateral border of the tongue.> The distinctive microscopic appearance consists of hyperparakeratosis and acanthosis with "balloon cells" in the upper spinous layer.